All of the following statements about treatment of migraine are true, except
1. Narotriptan has slower onset and longer tf/2 than sumatriptan
2. Rizatriptan is more efficacious than sumatriptan
3. Sumatriptan is a selective 5-HT IB/ID agonist
4. Sumatriptan is used for chronic migraine

Correct answer: 4. Sumatriptan is used for chronic migraine

Explanation: Ans. is 'd' i.e., Sumatriptan is used for chronic migraine Triptans Triptans are selective agonists at 5HT 1B/ID receptors a variety of triptans are now available for the management of acute migraine Triptans Fast acting Rizatriptan Eletriptan Sumatriptan Z olmitriptan Almotriptan (relatively slower) Slow acting/ Better tolerability naratriptan Frovatriptan These agents have longer half life Rizatriptan and eletriptan are the most efficacious of the triptans currently available in the United states ? Efficacy appears to be related more to 1 max (time to peak plasma concentration) than to the potency, half life or bioavailability